All are true about Klumpke's paralysis except
1. Claw hand is never seen
2. Intrincsic muscles of hand are paralysed
3. Horner's syndrome can be associated
4. Involves lower trunk of brachial plexus

Correct answer: 1. Claw hand is never seen

Explanation: Klumpke's paralysis

C8 and T1 roots involved.
Intrinsic muscles of hand paralysed.
Wrist and finger flexous are weak.
Unilateral Horner's syndrome.
Claw hand is seen.